Elsching pearls is seen in
1. Wilsons disease
2. Secondary cataract
3. Complicated cataract
4. Congenital cataract

Correct answer: 2. Secondary cataract

Explanation: After cataract is also known as 'secondary cataract' . Types of after cataract : Thickened posterior capsule opacification(PCO) Dense membranous after cataract Soemmering's ring which refers to a thick ring of after cataract formed behind the iris, enclosed between the two layers of capsule Elsching's pearls in which the vacuated subcapsular epithelial cells are clustered like soap bubbles along the poster capsule. Ref;A.K.Khurana; 6th edition; Page no:214 QUESTION REPEATED